Most common presentation of mumps ?
1. Pain and lacrimation of eye
2. Pain and swelling of parotid glands
3. Pain and swelling of submandibular and sublingual glands
4. Aseptic meningitis

Correct answer: 2. Pain and swelling of parotid glands

Explanation: Ans. is 'b' i.e., Pain and swelling of parotid glands